Otto Loewi is famous for discovery of
1. Succinyl choline
2. Acetyl choline
3. Adrenaline
4. Noradrenaline

Correct answer: 2. Acetyl choline

Explanation: Otto Loewi is famous for discovery of acetylcholine for which he received a Nobel price. so the option 2.(Reference: www.nobelprize.org)